Neostigmine used in treatment of myasthenia gravis acts by:
1. Increasing the number of receptors for acetylcholine
2. Increasing synthesis of acetylcholine
3. Decreasing breakdown of acetylcholine
4. Increasing actylcholine degradation

Correct answer: 3. Decreasing breakdown of acetylcholine